Cold agglutinins are seen in?
1. Influenza
2. PAN
3. Multiple myeloma
4. SLE

Correct answer: 1. Influenza

Explanation: Ans is 'a' i.e. Influenza Cold agglutinin hemolytic anemiao This form of hemolytic anemia is caused by cold agglutinin IgM antibodies. Antibodies react with RBC at 0deg to 4degC. Both intravascular and extravascular hemolysis may occuro Causes of cold agglutinin immunohemolytic anemiaMycoplasma infection, IMN, CMV, Influenza, HIV, Malignant lymphoma.Important causes of warm antibody autoimmune hemolytic anemiao Autoimmune disorders - SLE, RA, Ulcerative colitis, Scleroderma, Antiphospholipid antibodieso Chronic lymphocytic leukemia (CLL), Hodgkin disease, Non-Hodgkin lymphomao Multiple myelomao Thymomao Drugs - Methyldopa, penicillin, Cephalosporine, quinidine.o PAN